A 32-year-old woman acutely develops high fever, hypotension, and rash. This is followed by vomiting, diarrhea, confusion, and abdominal pain. In the hospital, evidence of multiorgan failure develops. Desquamation of the skin occurs 1 week after the acute illness. On further history, the illness started 3 days after the onset of menstruation. Which of the following is the most likely diagnosis?
1. S. aureus toxic shock syndrome (TSS)
2. streptococcal infection (scarlet fever)
3. clostridial infection
4. RMSF

Correct answer: 1. S. aureus toxic shock syndrome (TSS)

Explanation: TSS is most characteristically seen in females using vaginal tampons and is secondary to staphylococcal enterotoxins called TSS toxin 1 (TSST-1). Abrupt onset is characteristic. The clinical criteria for diagnosis include high fever, a diffuse rash that desquamates on the palms and soles over the subsequent 1-2 weeks, hypotension, and involvement in three or more organ systems. This involvement can include GI dysfunction (vomiting and diarrhea), renal insufficiency, hepatic insufficiency, thrombocytopenia, myalgias with elevated creatine kinase (CK) levels, and delirium. Staphylococcal scaled skin syndrome most often affects newborns and children. It results in localized or quite extensive fluid-filled blisters that easily rupture to expose denuded skin. It is caused by an exfoliative toxin.